All the following drugs act on ionic channels except:
1. Nicotine
2. Insulin
3. Glibenclamide
4. Diazepam

Correct answer: 2. Insulin